A child speaks sentences at the age of?
1. 6 months
2. 1 year
3. 18 months
4. 2 years

Correct answer: 4. 2 years

Explanation: LANGUAGE MILESTONES: 1 month: Alerts to sound. 2 months: responds to sound by startle or quietening to a smooth voice. 3 months: Coos (musical vowel sounds). 4 months: Laughs loud. 6 months: Monosyllables (ba, da), ah-ghoo 9 months: Understands spoken words, speaks bisyllables. 12 months: 1-2 words with meaning. 18 months: a vocabulary of 8-10 words. Can name one part of the body. 2 years: 2-3-word sentences 3 years: Asks questions, knows full name and gender. 4 years: Says song or poem, tells a story, knows three colors. 5 years: Asks the meaning of words. Ref: Ghai Essential Pediatrics, ninth edition, pg. no. 49.